All of the following are features of pheochromocytoma except:
1. Hypertensive paroxysm
2. Headache
3. Orthostatic hypotension
4. Wheezing

Correct answer: 4. Wheezing

Explanation: Clinical features of pheochromocytoma includes: Hypertension (usually paroxysmal; often postural drop of blood pressure), attacks with Pallor (occasionally flushing), palpitations, sweating, headache and anxiety, abdominal pain, vomiting, constipation, weight loss and glucose intolerance. Ref: Harrisons Internal Medicine, 18th Edition, Chapter 343 ; Current Medical Diagnosis and Treatment, 2012, Chapter 26